Reversible cause of dementia -a) Hypothyroidismb) Alzheimer's diseasec) Vitamin B12 deficiencyd)  Vitamin A deficiency
1. ac
2. bc
3. ad
4. b

Correct answer: 1. ac